Decreased T cell immunity is a feature of -
1. Digeorge syndrome
2. Hyper lgM syndrome
3. Severe congenital neutropenia
4. Chronic granulomatous diseas

Correct answer: 1. Digeorge syndrome

Explanation: Ans. is 'a' i.e., Di George syndrome Classification of Primary Immune Deficiency DiseasesDeficiencies of the Innate Immune Systemo Phagocytic cells# Impaired production severe congenital neutropenia (SCN)# Asplenia# Impaired adhesion leukocyte adhesion deficiency (LAD)# Impaired killing; chronic granulomatous disease (CGD)o Innate immunity receptors and signal transduction# Defects in Toll-like receptor signaling# Mendelian susceptibility to mycobacterial diseaseo Complement deficiencies# Classical, alternative, and lectin pathways# Lytic phase Deficiencies of the Adaptive Immune Systemo T lymphocyteso impaired developmento Impaired survival, migration, functionSevere combined immunedeficieneies (SOD) DiGeorge syndrome.Severe combined immunodeficiencies.Hyper-lgE syndrome (autosomal dominant).CD401 igand deficiency.Wiskott-Aldrich syndrome.Ataxia-telangiectasia and other DNA repair deficiencies.o B lymphocytesy Impaired developmenty Impaired function XL and AR agammaglobulinemiaHyper-IgM syndromeCommon variable immunodeficiencies (CVID)IgA deficiencyRegulatory Defectso Innate immunityAutoinflammatory syndrome (outside the scope of this chapter) Severe colitiso Adaptive immunityHemophagoevtic lymphohistiocytosis (HLH)Autoimmune lymphoproliferation syndrome (ALPS)Autoimmunity and inflammatory diseases (IPEX, APECED)Abbreviations: A PEC ED. autoimmune polyendocrinopathv candidiasis ectodermal dysplasia; AR, autosomal recessive,1PEX, immunodysregulation polyendocrinopathy enteropathy X-linked syndrome, XL, X-linked.